509-IPC deals with:
1. Masturbation in public place
2. Inquest
3. Dowry death
4. Act intended to insult the modesty of a women

Correct answer: 4. Act intended to insult the modesty of a women

Explanation: (Act intended to insult the modesty of a women)* Perjury (Giving false evidence) - 191-IPC* Criminal negligence - 304-A-IPC* Dowry deaths - 304 - B IPC* 509 IPC - word, gesture or act intended to insult the modesty of woman.* 510 IPC - Misconduct in public by a drunken person.* 376A - Intercourse by a man with his wife during separation* 376-B - By public servant with women in his custody* 376C - Intercourse by superintendent of jail, remand home* 376-D - Intercourse by manager etc of a hospital with any women in that hospital.